Egg yields about Kcal of energy -
1. 50
2. 60
3. 70
4. 80

Correct answer: 3. 70